About Duchenne muscular dystrophy-false statement is:
1. Becker's dystrophy more severe
2. X-linked recessive
3. Cardiomyopathy
4. Intellectual disability common

Correct answer: 1. Becker's dystrophy more severe

Explanation: a. Becker's dystrophy more severe(Ref: Nelson's 20/e p 2915-2985, Ghai 8/e p 595-597)Becker's dystrophy is a less severe variant of Duchenne muscular dystrophy.